Sporulation occurs in which phase of bacterial growth curve:
1. Stationary phase
2. Lag phase
3. Log phase
4. Decline phase

Correct answer: 1. Stationary phase

Explanation: Lag phase - Adaptation phase to culture media |sed Accumulate nutrient size Log(2)n - Exponential es in number Stationary phase - Start of Accumulation of toxic metabolites = Dead Live -Sporulation occur in stationary phase (S-S) Decline: Complete accumulation of Toxin metabolites